Period of onset in tetanus refers to the time between?
1. First injury to spasm
2. First symptom to spasm
3. First spasm to death
4. Trismus to laryngeal spasm

Correct answer: 2. First symptom to spasm

Explanation: Ans. is 'b' i.e., First symptom to spasm